Every TB sputum positive patient can infect up to
1. 1-2 persons per year
2. 5-6 persons per year
3. 10-15 persons per year
4. 100-200 persons per year

Correct answer: 3. 10-15 persons per year

Explanation: - Every TB sputum positive patient can infect up to 10-15 persons per year EPIDEMIOLOGY OF T.B: Country with highest TB burden India ARI 1.5% Infected with T.B 40% Developing T.B per day 5000/day SS +ve per year 0.8 million Deaths per year 0.37 million Index of infection 1-2% Prevalence of infection 40% Incidence / prevalence of disease Sputum smear examination